The meal provided in mid-day meal program should supply at least -
1. 1\/2 of proteins and 1\/2 of the calories required per day
2. 1\/2 of proteins and 1\/3 of the calories required per day
3. 1\/3 of proteins and 1\/3 of the calories required per day
4. 1\/3 of proteins and 1\/2 of the calories required per day

Correct answer: 2. 1\/2 of proteins and 1\/3 of the calories required per day

Explanation: The meal should supply at least 1/2 of proteins and 1/3 of the calories required per day. REF. PARK'S TEXTBOOK OF PREVENTIVE AND SOCIAL MEDICAL 21ST EDITION. PAGE NO - 611